The Ridley -Jopling classification for leprosy is based on which of the following parameters?
1. Clinical, bacteriological, immunological
2. Histopathological, clinical, therapeutic
3. Histopathological, epidemiological, therapeutics
4. Histopathological, clinical, epidemiological

Correct answer: 1. Clinical, bacteriological, immunological

Explanation: Ans. a. Clinical, bacteriological, immunological Ridley-Jopling Classification for Leprosy is based on Clinical (skin and nerve involvement), bacteriological (bacteriological/ morphological index in skin and nasal smears) and immunological criteria (Lepromin test).